Most important layer of a slow sand filter is -
1. Zoological layer
2. Sand bed
3. Filter system
4. Raw water

Correct answer: 1. Zoological layer

Explanation: The most important layer of a slow sand filter is the vital layer or zoogleal layer or the biological layer. It is composed of thread like algae and other forms of life. It is called so because it removes organic matter, holds back bacteria and oxidises ammoniacal nitrogen and helps in yielding bacteria-free water. (PARK TB 25th edition pg 772)